Universal antidote contains the following, except:
1. Powdered charcoal
2. Tannic acid
3. Ground mustard
4. Magnesium oxide

Correct answer: 3. Ground mustard

Explanation: Ans. Ground mustard